What is the modern approach treatment of a discoloured crown?
1. Composite restoration
2. Full crown
3. Bleaching
4. Implant

Correct answer: 3. Bleaching